Investigation of choice in detecting small para-aortic lymph node is -
1. Ultra sound scan
2. CT scan
3. Lymphangiography
4. Arteriography

Correct answer: 2. CT scan

Explanation: • Investigation of choice in detecting small para-aortic lymph node: CT scan